All the following indicates CRF w.r.t. to ARF -a) Anaemiab) Small kidneys c) Creatinine > 7 mg%d) Constrictive pericarditise) Peripheral neuropathy
1. abe
2. bcd
3. cde
4. acd

Correct answer: 1. abe